Which of the following is the MOST appropriate management for antrochoanal polyp in children?
1. Caldwell Luc operation
2. Intranasal polypectomy
3. Corticosteroids
4. Wait and watch

Correct answer: 2. Intranasal polypectomy

Explanation: Endoscopic intranasal polyp resection is effective and and is the most popular procedure for the removal of antro choanal polyp even in paediatric patients. This procedure involves removal of antral portion of the polyp through the enlarged antrostomy with endoscopic visualization, and the nasopharyngeal portion of the polyp is removed transorally if large or transanally if size permits. Caldwell Luc maxillary antrotomy with intranasal antrostomy approach may be useful for complete removal of antral portion of the polyp for minimizing recurrence.